A cook prepares sandwiches for 10 people going for a picnic. Eight out of them develop severe gastroenteritis within 4-6 hrs of consumption of the sandwiches. It is likely that on investigation the cook is found to be the carrier of
1. Salmonella typhi
2. Vibrio cholerae
3. Entamoeba histolytica
4. Staphylococcus aureus

Correct answer: 4. Staphylococcus aureus

Explanation: Staphylococcus aureus produces toxins that can act as food poisons. Ref: Ananthanarayan and Paniker's Textbook of Microbiology, 9th edition; pg no: 207